Results obtained based on resources spend:
1. Impact
2. Process
3. Efficiency
4. Effectiveness

Correct answer: 3. Efficiency